Focal bilateral thalamic, posterior internal capsule showing hyperdensity and calcification in CT scan and extensive involvement of deep white matter is characteristic of
1. Alexander's disease
2. Metachromatic leukodystrophy
3. Krabbe's disease
4. Multiple sclerosis

Correct answer: 3. Krabbe's disease

Explanation: Krabbe's disease (globoid leukodystrophy).
Other features :

Hypodensity on T2 MRI.
Involve cerebellar white matter.